Which of the following organ is best suitable for post-mortem poison detection?
1. Stomach
2. Spleen
3. Kidney
4. Liver

Correct answer: 4. Liver

Explanation: * Although, spleen and kidneys are routinely preserved. Liver is most important since large amount of tissue is available ease of sample collection, high concentration of toxins availability of large database of liver drug concentrations * A 100 g of tissue is sufficient for most analysis. * The right lobe is preferred since chances of postmortem diffusion of toxins from bowel contents and mesenteric circulation is negligible.